A 52 year old woman presented with weakness of shoulder movements. Investigations revealed quadrangular space syndrome. Which of the following nerve is likely to be affected ?
1. Brachial plexus
2. Axillary nerve
3. Median nerve
4. Radial nerve

Correct answer: 2. Axillary nerve

Explanation: Quadrangular space is a passageway for the nerves and vessels between the axilla anteriorly and scapular region posteriorly. It's contents are Axillary nerve Posterior circumflex humeral artery and vein Quadrangular space syndrome is a condition caused by hypertrophy or fibrosis of quadrangular space muscles which impinge on axillary nerve. Patient present with weakness of shoulder movements. Ref : Gray's Anatomy The Anatomical Basics of Clinical Practice 41 e pg 814.